Type of necrosis occuring in brain ?
1. Coagulative
2. Liquefactive
3. Fibrinoid
4. Caseous

Correct answer: 2. Liquefactive

Explanation: Ans. is 'b' i.e., Liquefactive Liquefactive necrosis is seen in :? 1) Infection, i.e. suppurative inflammation (most common). 2) Ischemic necrosis in brain.